False about telmerase is:
1. Has reverse Transcriptase activity
2. Has intrinsic Primer
3. It is a ribonucleoprotein
4. Telomerase leads to premature ageing.

Correct answer: 4. Telomerase leads to premature ageing.

Explanation: Telomerase prevents premature ageing.